Hair on end appearance is characteristically seen in –
1. Thalassemia major
2. Sickle cell anemia
3. G6PD deficiency
4. Hereditary spherocytosis

Correct answer: 1. Thalassemia major

Explanation: Hair on end appearance is characteristically and most commonly seen in thalassemia because marrow hyperplasia is more marked in this than other anemia.
Sickle cell anemia is the 2nd most common cause (after thalassemia).